A patient with an accident is presented in a casualty, what will be the least Glasgow Coma Index to measure his responsiveness:
1. 7
2. 11
3. 3
4. 15

Correct answer: 3. 3

Explanation: The minimum score that can be alloted to a person with head injury is 3 while the maximum is 15.